First test for a couple presenting with infertility:
1. Post coital test
2. Chromosomal studies
3. Sperm penetration test
4. Husband's semen analysis

Correct answer: 4. Husband's semen analysis

Explanation: Ans. D i.e. Husband's semen anaylsis